Which artery supplying stomach traverses pancreatoduodenal region-
1. Right gastroepiploic artery
2. Left gastroepiploic artery
3. Right gastric artery
4. Short gastric arteries

Correct answer: 1. Right gastroepiploic artery

Explanation: Ans. is 'a' i.e., Right gastroepiploic artery 'Right gastroepiploic artery is a branch of the gastroduodenal artery that lies close to the pancreaticoduodenal region. After giving off the Right gastroepiploic artery, it becomes the superior pancreaticoduodenal artery supplying the pancreas and duodenum.'